Eicosanoids are derived from
1. Oleoc acid
2. Linoleic acid
3. Linolenic acid
4. Archidonic acid

Correct answer: 4. Archidonic acid

Explanation: EICOSANOIDSThey are 20 C compounds (Greek, eikosi = twenty), derived from arachidonic acid. Their names are:1. Prostanoids, containing1-a. Prostaglandins (PGs);1-b. Prostacyclins (PGIs);1-c. Thromboxanes (TXs)2. Leukotrienes (LTs)Ref: DM Vasudevan - Textbook of Biochemistry, 6th edition, page no: 163